Normally which tooth remains in mouth lastly?
1. Maxillary canine
2. Mandibular canine
3. Mandibular central & lateral incisor
4. Maxillary 1st premolar

Correct answer: 2. Mandibular canine

Explanation: Mandibular canine has the maximum chances of last remaining tooth in mouth.